Most common site of tear in Boerhaave syndrome?
1. Lower end of Esophagus
2. At Gastroesophageal junction
3. Upper esophagus
4. Mid Esophagus

Correct answer: 1. Lower end of Esophagus

Explanation: Boerhaave syndrome Sudden rise in intraluminal esophageal pressure produced during vomiting, as a result of neuromuscular incoordination causing failure of the cricopharyngeus muscle to relax. Associated with overindulgence in food and/or alcohol. At the left posterolateral wall of the lower third of the esophagus, 2-3 cm proximal to the gastro-esophageal junction, along the longitudinal wall of the esophagus. 2nd most common site of rupture is in the subdiaphragmatic or upper thoracic area Vomiting, retching, or vigorous coughing can cause transmural tear at the gastroesophageal junction known as Mallory Weiss tear. Instrument perforation(iatrogenic)typically occurs in the hypopharynx or at the gastroesophageal junction.